In a case of ectopic pregnancy, medical treatment is contraindicated if
1. Sac size is 3.0 cm
2. Serum HCG levels > 1500 miu/ml
3. Significant hemoperitoneum is present
4. Absent fetal activity

Correct answer: 3. Significant hemoperitoneum is present

Explanation: Indications for management of ectopic pregnancy medically.is 1) Ectopic mass <3.5cm 2) No fetal cardiac activity 3) Initial hCG <3000miu/l 4) The patient must be hemodynamically stable, with no signs or symptoms of active bleeding or hemoperitoneum. 5) She should not have any contraindications to the use of methotrexate.